Prophylactic antifungal drug used in HIV patients:
1. Itraconazole
2. Posaconazole
3. Terconazole
4. Voriconazole

Correct answer: 1. Itraconazole

Explanation: A i.e. ItraconazoleRef: Harrison's Principles of Internal Medicine, 19th edition, page 1252Explanation:Prophylactic Antifungal for Opportunistic Infections in HIV PatientsFluconazole 400 mg daily:For Coccidiodes immitis when CD4 count <250.For Cryptococcus neoformans when CD4 count <100.Itraconazole 200 mg daily:For Histoplasma capsulatum when CD4 count <150.For Penicillium marneffi CD4 count <100.